Most common organ involved in retroperitoneal fibrosis is?
1. Aorta
2. Ureter
3. Inferior vena cava
4. Sympathetic nerve plexus

Correct answer: 2. Ureter

Explanation: Ans. (b) UreterRef.: Campbell 10th ed./ 1108-1112* Ureters are involved most commonly.* MC site is lower third.* Obstructive uropathy is the earliest and most common specific symptom.* 70% cases are primary or idiopathic (Ormond's disease)* Investigation of choice is CT scan.* In patients with renal compromise, MRI is the investigation of choice.